Which of the following is not true of Diplococcus pneumoniae -
1. Bile solubility
2. Optochin resistance
3. Causes Meningitis
4. Possesses capsule

Correct answer: 2. Optochin resistance

Explanation: Ans. is 'b' i.e., Optochin resistance . Pneumococcus is optochin senstive (not resistant). The senstivity of pneumococci to optochin is useful in differentiating them from streptococci.